Which terminal plane is favorable for E/E to have class I molar relationship?
1. Flush terminal plane
2. Mesial step
3. Distal step
4. None of the above

Correct answer: 2. Mesial step